Waste water from kitchen is called
1. Refuse
2. Sullage
3. Garbage
4. Sewage

Correct answer: 2. Sullage